A physiology experiment is conducted in which a glass microelectrode in inserted into a Pacinian corpuscle to record receptor potentials during different levels of stimulation (from 0 percent to 100 percent). Increasing stimulus strength from 10 percent of maximum to 30 percent of maximum causes a 40 percent increase in the amplitude of the receptor potential. Increasing the stimulus potential from 70 percent of maximum to 90 percent of maximum is most likely to cause which increase in the amplitude of the receptor potential (in percent)?
1. 10
2. 40
3. 60
4. 80

Correct answer: 1. 10

Explanation: The amplitude of the receptor potential from a Pacinian corpuscle increases greatly with a step increase in stimulus intensity at lower levels of stimulus strength, and to a lesser extent with a similar step increase at higher levels of stimulus strength. This relationship between stimulus strength and amplitude of receptor potential allows the Pacinian corpuscle to discern small changes in stimulus strength at low levels of stimulation and yet still respond to changes in stimulus strength when the intensity of stimulation is high. The amplitude increases rapidly at first but then progressively less rapidly at high stimulus strength.